Ballooning degeneration of hepatocytes is characteristically seen in:
1. Acute hepatitis
2. Chronic hepatitis
3. Cirrhosis
4. All of the above

Correct answer: 1. Acute hepatitis

Explanation: With acute hepatitis hepatocyte injury takes the form of diffuse swelling ("ballooning degeneration"), so the cytoplasm looks empty and contains only scattered eosinophilic remnants of cytoplasmic organelles. Ref: Robbins 8th edition Chapter 18.